Best specimen for diagnosis of rabies in a living person is:-
1. Corneal smears
2. Biopsy of skin follicles on neck
3. CSF
4. Saliva

Correct answer: 2. Biopsy of skin follicles on neck

Explanation: Best specimen for diagnosis :- Disease Preferred specimen Rabies (living person) Biopsy of skin follicles on nape of neck Rabies (dead person) Brain (Hippocampus) biopsy Rabies (living dog) Brain (hippocampus) biopsy Rabies (dead dog) Brain (hippocampus) biopsy Diphtheria Nasal swabs, Throat swabs Influenza Nasopharyngeal secretions H1N1 influenza Nasopharyngeal secretions Tuberculosis Sputum Malaria Blood HIV/AIDS Blood